The last tributary of the azygos vein is
1. Right superior intercostal vein
2. Hemi-azygos vein
3. Right bronchial vein
4. Accessory azygos vein

Correct answer: 3. Right bronchial vein

Explanation: Right bronchial vein near the terminal end of azygos vein. BD CHAURASIA'S HUMAN ANATOMY VOLUME 1. 6TH Edition. page no-224